ESPS is due to
1. K+ influx
2. Na+ efflux
3. Na+ influx
4. Ca++ influx

Correct answer: 3. Na+ influx

Explanation: Ans. (c) Na+ efflux(Ref: Ganong, 25th ed/p.122)Excitatory Post Synaptic Potentials (EPSP)#Produced if the neurotransmitter released at the synapse is excitatory#The excitatory transmitter opens mainly Na+ ion channels producing depolarization